The following statements about thyroglossal cyst are true, except .
1. Frequent cause of anterior midline neck masses in the first decade of life
2. The cyst is located within 2 cm of the midline
3. Incision and drainage is the treatment of choice
4. The swelling moves upwards on protrusion of tongue

Correct answer: 3. Incision and drainage is the treatment of choice